Prophylactic dose of folic acid in pregnancy is -
1. 500 microgram
2. 1 mg
3. 2 mg
4. 4 mg

Correct answer: 1. 500 microgram

Explanation: Ans. is 'a' i.e., 500 microgram GroupRecommended daily intake Elemental iron Folic acidChildren 6-60 months20 mg per day 100 meg per dayChildren 6-10 years30 mg per day 250 meg per dayAdolescents 11-19 years100 mg per day 500 meg per dayAdults100 mg per day 500 meg per dayPregnant women100 mg per day 500 meg per day